The most sensitive method for detecting cervical chlamydia trachomatis infection is
1. Direct fluorescent antibody test
2. Enzyme immunoassay
3. PCR
4. Culture on irradiated McConkey cells

Correct answer: 3. PCR

Explanation: PCR